What will you give to stop chyturia in diet?
1. Small chain FA
2. Medium chain FA
3. Long chain FA
4. Omega 3 unsaturated FA

Correct answer: 2. Medium chain FA

Explanation: Ans. is 'b' i.e., Medium Chain Fa o Medium chain fatty acids directly enter the portal vein on absorption,bypassing the lymphatics.Hence,they are used in chvluria.o Three types of fatty acids compose fats: long-chain fatty acids (LCFAs), medium-chain fatty acids (MCFAs), and short-chain fatty acids (SCFAs). Dietary fat is exclusively composed of long-chain triglycerides (LCTs), i.e., glycerol that is bound via ester-linkages to three LCFAs. Long-ChainMedium-ChainShort-ChainCarbon chain length>128-12<8Present in dietIn large amountsIn small amountsNoOriginIn diet as triglyceridesOnly in small amounts in dietBacterial degradation in colon of nonabsorbed carbohydrate to fatty acidsPrimary site of absorptionSmall intestineSmall intestineColonRequires pancreatic creatic lipolysisYesNoNoRequires micelle formationYesNoNoPresence in stoolMinimalNoSubstantialo MCTs, in contrast to LCTs, do not require pancreatic lipolvsis as the triglyceride can be absorbed intact by the intestinal epithelial cell.o Further, micelle formation is not necessary for the absorption of MCTs or medium-chain fatty acids, if hydrolyzed by pancreatic lipase.o MCTs are absorbed more efficiently than LCTs for the following reasons:The rate of MCT absorption is greater than that of long-chain fatty acids;Medium-chain fatty acids follow ing absorption are not reesterified;Following absorption, MCTs are hydrolyzed to medium-chain fatty acids;MCTs do not require chylomicron formation for their exit from the intestinal epithelial cells; andTheir route of exit is via the portal vein and not via lymphatics.o Thus, the absorption of MCTs is greater than that of LCTs in pancreatic insufficiency, conditions with reduced intraduodenal bile acid concentrations, small-intestinal mucosal disease, abetalipoproteinemia, and intestinal lymphangiectasia.